A parent asks the dentist, 'Is the treatment necessary?'
after initial examination and explanation about treatment
required. The behaviour of the parent is termed as
1. Neglectful
2. Manipulative
3. Hostile
4. Overprotective

Correct answer: 3. Hostile